Which of the following is not a common manifestation of nephrotic syndrome?
1. Hyperlipidemia
2. Hematuria
3. Anasarca
4. Hypoalbuminemia

Correct answer: 2. Hematuria

Explanation: Nephrotic syndrome is characterized by: Heavy/'nephrotic range' proteinuria (more than 3.5 g/day), Hypoalbuminemia, Severe edema or anasarca, Hyperlipidemia, and Lipiduria (lipid in the urine) Hematuria is seen in nephritic syndrome.